In which of the following part, VIIth nerve take a narrowest path during its entire course?
1. Pons
2. Sup. colliculus
3. Stylomastoid region
4. Labyrinthine canal

Correct answer: 4. Labyrinthine canal

Explanation: At the lateral portion of the IAC, the facial nerve pierces the meatal foramen to enter the labyrinthine segment. The labyrinthine segment is notable in that it is the narrowest portion As a result, it is believed that infections or inflammations of the facial nerve within this region can lead to temporary or permanent paralysis of the nerve, such as in Bell's palsy.